Which of the following is not a feature of Tuberculosis of the spine:
1. Back pain earliest symptom
2. Stiffness of back
3. Exaggerated lumbar lordosis
4. Cold abscess

Correct answer: 3. Exaggerated lumbar lordosis

Explanation: Ans. C. Exaggerated lumbar lordosisTuberculosis of the spine usually involves vertebral bodies and is of paradiscal type. It results in kyphosis and not lordosis due to collapse of vertebrae.